Which of the following patient characteristics is a possible reason for the use of celecoxib in the treatment of arthritis ?
1. History of severe rash after treatment with a sulfonamide antibiotic
2. History of gout
3. History of peptic ulcer disease
4. History of type 2 DM

Correct answer: 3. History of peptic ulcer disease